A girl presents with primary amenorrhea, grade V thelarche (mature breast), grade II pubarche (sparse growth of pubic hair) and no axillary hair. Likely diagnosis is:
1. Testicular feminization
2. Mullerian agenesis
3. Turner syndrome
4. Gonadal dysgenesis

Correct answer: 1. Testicular feminization

Explanation: Ans. Testicular feminization